Following foramina are found in greater wing of sphenoid except:
1. Foramen rotundum
2. Canaliculus innominatus
3. Foramen spinosum
4. Optic canal

Correct answer: 4. Optic canal

Explanation: Foramen present in greater wing of sphenoid:

Foramen rotundum.
Emissory sphenoidal foramen/ foramen of Vesalius.
Foramen ovale.
Canaliculus innominatus.
Foramen spinosum.

Option 4 - Optic canal is located in median part of middle cranial fossa. It is bounded laterally by lesser wing of sphenoid, in front and behind by anterior and posterior roots of lesser wing, and medially by body of sphenoid.